Which of the following enzymic activities would you expect to be decreased in thiamine deficiency?
1. Pyruvate carboxylase
2. Isocitrate dehydrogenase
3. Fumarase
4. a-Ketoglutarate dehydrogenase

Correct answer: 4. a-Ketoglutarate dehydrogenase

Explanation: In the reaction catalyzed by a-ketoglutarate dehydrogenase complex, thiamine pyrophosphate, the cofactor form of thiamine, functions as a transient carrier of the five-carbon intermediate produced on decarboxylation of a-ketoglutrate. Biotin is a coenzyme of pyruvate carboxylase. Isocitrate dehydrogenase use NAD+ as coenzymes, whereas fumarase has no coenzyme. Ref: Brooks G.F. (2013). Chapter 6. Microbial Metabolism. In G.F. Brooks (Ed),Jawetz, Melnick, & Adelberg's Medical Microbiology, 26e.